TOC for postmenopausal osteoporosis is-
1. Raloxifene
2. Tamoxifene
3. Estrogen
4. Alendronate

Correct answer: 4. Alendronate